Most specific antiemetic for Chemotherapy induced vomiting is
1. Domperidone
2. Granisetron
3. Tegaserod
4. Doxylamine

Correct answer: 2. Granisetron

Explanation: 5HT3 Antagonists *5HT3 antagonists like Ondansetron, Granisetron, Dolasetron, Tropisetron and Palanosetron are the most specific and effective agents in the management of chemotherapy-induced nausea vomiting and in nausea associated with upper abdominal irradiation. Ref:- Goodman & Gilman's Pharmacological basis of Therapeutics 13th Ed; Pg.No:- 935-6